Flumazenil is used for reversing the respiratory depression caused by which one of the following drugs?
1. Fentanyl
2. Midazolam
3. Propofol
4. Ketamine

Correct answer: 2. Midazolam